The parvocellular pathway, from the lateral geniculate nucleus to the visual cortex, carnes signals for the detection of
1. Movement, depth and flicker.
2. Color vision, shape and fine details.
3. Temporal frequency.
4. Luminance contrast

Correct answer: 2. Color vision, shape and fine details.

Explanation: (B) Color vision, shape and fine details. > In the optic nerves and visual pathways there are several different types of nerve fibres, of which the magnocellular and the parvocellular pathway are the most important.> The largest path (approximately 80% of the nerve fibres) is the parvocellular pathway that transfers all colour information and high contrast black and white information.> Its nerve fibres are thin and transfer information relatively slowly. In the optic nerve 80% of the nerve fibres are parvocellular fibres and 10% of the fibres are magnocellular fibres.